MHC II are presented by -
1. Macrophage
2. Dendritic cells
3. Lymphocytes
4. All

Correct answer: 4. All

Explanation: Ans. is 'a' i.e., Macrophage, 'b' i.e., Dendritic cells, 'c'i.e. Lymphocyte